A patient has hyperphosphatemia with short metacarpals and associated cataract The diagnosis is-
1. Pseudohypoparathyroidism
2. Hypophosphatasia
3. Hyperparathyroidism
4. Osteomalacia

Correct answer: 1. Pseudohypoparathyroidism

Explanation: the defects in metacarpal and metatarsal bones are sometimes accompanied by short phalanges as well, and also associated cataract( Harrison 17 pg 2394)